Paul -Bunnell test is positive in:
1. Infectious mononucleosis
2. Multiple myeloma
3. Malignant nerves
4. Rubella

Correct answer: 1. Infectious mononucleosis